Which of the following is an oncogenic RNA virus?
1. Hepatitis B virus
2. Human papilloma virus
3. Epstein Barr virus
4. Hepatitis C virus

Correct answer: 4. Hepatitis C virus

Explanation: Hepatitis C virus (HCV) is only oncogenis RNA virus in the options. Others mentioned are oncogenic DNA viruses.